A 40 year male presents with hematemesis. On examination his BP was 90/60 mmHg and Heart Rate was 120/min. Splenomegaly was also present. The most probable cause of his bleeding is:
1. Portal Hypertension
2. Gastric ulcer
3. Duodenal ulcer
4. Drug-induced GI injury

Correct answer: 1. Portal Hypertension

Explanation: Ans is 'a' i.e. Portal hypertension Among the given options, splenomegaly is most likely to be associated with Portal hypertension.